Nerve which loops around submandibular duct?
1. Mandibular nerve
2. Lingual nerve
3. Hypoglossal nerve
4. Recurrent laryngeal nerve

Correct answer: 2. Lingual nerve

Explanation: Submandibular duct It is 5 cm long duct and runs forwards on hyoglossus, between lingual and hypoglossal nerves. At the anterior border of the hyoglossus muscle it is crossed by lingual nerve which loops around it. It opens into the floor of mouth, on the summit of the sublingual papilla at the side offrenulum of tongue.